Which one of the following statements truly represents bell's paralysis -
1. Hemiparesis and contralateral facial nerve paralysis
2. Combined paralysis of the facial, trigeminal, and abducens nerves
3. Idiopathic ipsilateral paralysis of the facial nerve
4. Facial nerve paralysis with a dry eye

Correct answer: 3. Idiopathic ipsilateral paralysis of the facial nerve

Explanation: Bell's paralysis is a lower motor neuron type of facial nerve palsy of unknown etiology, i.e., idiopathic nature.
Lower motor neuron type of palsy causes ipsilateral paralysis, therefore bell's palsy causes ipsilateral facial paralysis.
Except for facial nerve paralysis, another neurological examination is normal.